Most common location of appendix is -
1. Pelvic
2. Postileal
3. Retrocaecal
4. PreIleal

Correct answer: 3. Retrocaecal

Explanation: Ans. is 'c' i.e., Retrocaecal Positions of appendix1. Retrocaecal - 64%2. Pelvic-32%3. Pre Ileal-1%4. Post Ileal-0.5%5. Paracaecal -2%